Deep vein thrombosis is seen in all except one:
1. Prolonged immobilization
2. Subungual melanoma
3. Pregnancy
4. Major surgical operation.

Correct answer: 2. Subungual melanoma

Explanation: Ans. is 'b' ie Subungual melanoma Risk factors for venous thromboembolism Patient FactorsDisease or surgical procedureAgeTrauma or surgery, especially of pelvis, hip, lower limbObesityMalignancy, especially pelvic, abdominal metastaticVaricose veins /superficial thrombophlebitisHeart failureImmobilityRecent myocardial infractionPregnancyParalysis of lower limb(s)PuerperiumInfectionHigh-dose oestrogen therapyInflammatory bowel diseasePrevious deep vein thrombosis or pulmonary embolismNephrotic syndromeThrombophiliaPolycythaemicaDeficiency of anti-thrombin III, protein C or protein SParaproteinemiaAnti-phospholipidParoxysmal nocturnal hemoglobinuria antibody or lupus anticoagulant Behcet's disease Homocystinemia